Non-pitting oedema which does not reduce on elevation of limb belongs to which grade of lymphoedema
1. Latent
2. Grade I
3. Grade II
4. Grade III

Correct answer: 3. Grade II

Explanation: Brunner's grading of Lymphoedema:-
Latent = Subclinical
Grade I = Spontaneously reversible lymphoedema
Grade II = Spontaneously irreversible lymphoedema
Grade III = Irreversible skin changes like-fibrosis, fissuring in lymphoedema.